An infant born at 35 weeks' gestation to a mother with no prenatal care is noted to be jittery and irritable, and is having difficulty feeding. You note coarse tremors on examination. The nurses report a high-pitched cry and note several episodes of diarrhea and emesis. You suspect the infant is withdrawing from
1. Alcohol
2. Marijuana
3. Heroin
4. Cocaine

Correct answer: 3. Heroin

Explanation: Infants born to narcotic addicts are more likely than other children to exhibit a variety of problems, including perinatal complications, prematurity, and low birth weight. The onset of withdrawal commonly occurs during an infant's first 2 days of life and is characterized by hyperirritability and coarse tremors, along with vomiting, diarrhea, fever, high-pitched cry, and hyperventilation; seizures and respiratory depression are less common.The production of surfactant can be accelerated in the infant of a heroin-addicted mother.